The great cardiac vein drains into:
1. Right atrium
2. Inferior venacava
3. Coronary sinus
4. Superior venacava

Correct answer: 3. Coronary sinus

Explanation: Ans: c (Coronary sinus) Ref: BDC, Vol-1,4th ed, p. 257All the veins of the heart except the anterior cardiac vein and the venae cordis minimi drains into the coronary sinus. These two open directly into right atrium.CORONARY SINUS: Largest vein of heart, opens into posterior wall of right atrium.It receives:1. Great cardiac vein--in Anterior interventricular sulcus2. Middle cardiac vein--in Posterior interventricular sulcus (mnemonic; A Great Prime Minister)3. Small cardiac vein4. Posterior vein of left ventricle5. Oblique vein of left atrium6. Right marginal veinCONTENTS OF CORONORY SULCUS:* Great cardiac vein* Coronary sinus* Small cardiac veinArterial supply of heart: